Cercariae are infective form of -
1. S.hematobium
2. P.westermanii
3. F. hepatica
4. T.solium

Correct answer: 1. S.hematobium

Explanation: Ans. is 'a' i.e., S. hematobium o Cercaria of Schistosoma hematobium is the infective form.Infective formsEggsCysticercusPlerocercoidMetacercariaCercariaLarvao T-soliumo T. soliumo Diphyllobothriumo Fasciola sport Schistosomao Strongyloides (in pork)latum (in fish)o Clonorchisspstercoraliso E. granulosuso T. Saginata sinensis (filariform larva)o H. Nana(in beef) o Paragonimus o Ancylostomao Ascaris westermani duodenale(embryonated (filariform larva)eggs) o Nectoramericanso Enterobius (filariform larva)(embryonated oTrichinella spiralisegg) (encysted larva)o Trichuris o WuchereriaTrichiura bancrofti(embryonated (3rd stage larva)egg) oBrugiamalayi (3rd stage larva) o Loa-loa (3rd stage larva) o Onchocera (volvulus) (3rd stage larva) o Dracunculus medinensis